Body water content in percentage of body weight is lowest in -
1. Well-built man
2. Fat woman
3. Well nourished child
4. Fat man

Correct answer: 2. Fat woman

Explanation: Lean tissues such as muscle and solid organs have higher water content than fat and bone. Thus, young lean males have a higer proportion of body weight as water than elderly or obese persons. Females as such have a lower percentage of total body water because of less muscle mass and more fat.